Assessment of progress of labour is best done by:
1. Station of head
2. Rupture of membrane
3. Contraction of uterus
4. Partogram

Correct answer: 4. Partogram

Explanation: Ans. is d, i.e. PartogramRef Dutta Obs. 7/e, p 530, Williams Obs. 23/e, p 406Partogram is the best method to assess progress of labour.